3 month infants with abdominal palpable mass & non bilious vomiting -
1. Hypertrophic biliary stenosis
2. Hypertrophic pyloric stenosis
3. Tracheoesophageal fistula
4. Duodenal atresia

Correct answer: 2. Hypertrophic pyloric stenosis

Explanation: Ans. is 'b' i.e., Hypertrophic pyloric stenosis Hypertophic pyloric stenosiso Most common cause of nonbilious vomiting is Hypertrophic pyloric stenosis,o Male > female.o Vomiting starts with 3 week of age.o Palpable mass is seen in epigastric region,o Visible peristalsis is seen soon after feeding,o Confirmed by USG abdomen,o Contrast study shows :Shoulder signDouble tract sign.o Treatment surgery = Ramstedt procedure.